Longest acting glucocorticoids is:
1. Prednisone
2. Prednisolone
3. Cortisone
4. Dexamethasone

Correct answer: 4. Dexamethasone